Indira AwasYojana in under which of the following ministry?
1. Ministry of family welfare
2. Ministry of Rural development
3. Ministry of Social welfare
4. Ministry of housing and development

Correct answer: 2. Ministry of Rural development

Explanation: Indira AwasYojana is a popular scheme under the ministry of rural development. It was started in 1996. Ref: Health policies and programmes in India, D.K. Taneja 11th edition page: 392